Isovolumetric relaxation ends immediately after
1. AV Valve doses
2. When ventricular pressure falls below aortic pressure
3. When ventricular pressure falls below atrial pressure
4. None of the above

Correct answer: 3. When ventricular pressure falls below atrial pressure